Bartonella quintana causes -
1. Trench fever
2. Scrub typhus
3. Endemic typhus
4. Epidemic typhus

Correct answer: 1. Trench fever

Explanation: Trench fever, also called 5-day fever or quintan fever, is caused by Bartonella Quintana (Rochalimaea Quintana).
 The human body louse (Pediculus humanus corporis) is the vector and humans is the only known reservoir